Madelung's deformity involves -
1. Humerus
2. Proximal ulna
3. Distal radius
4. Carpals

Correct answer: 3. Distal radius

Explanation: Ans. is 'c' i.e., Distal radiusMadelung's deformityo Madelung's deformity is a congenital disorder that affects growth of distal radius.o The primary defect is failure of normal growth of medial and palmar halves of the distal radial physis, leading to curvature in an medial (ulnar) and palmar direction,o The ulna is relatively long and becomes prominent dorsally.o The carpus (carpal bones) sinks, along with the medial (ulnar) half of the distal radial articular surface, into the gaps between the two forearm bones.